Keratin of skin and nail differ because
1. Vander waal bond
2. Lipolysis
3. Disulphide bond
4. Covalent bond

Correct answer: 3. Disulphide bond

Explanation: Keratins - Keratins are proteins present in hair, skin and nails, horn, hoof, etc. The fibers present are called alpha keratins and matrix as keratohyalin. They mainly have the alpha helical structure. Each fibril has 3 polypeptide chains and each bundle has about 10-12 fibrils. The keratohyalin matrix has cysteinerich polypeptide chains which are held together by disulfide bonds. The more the number of disulfide bonds, the harder the keratin is. REF: DM VASUDEVAN TEXTBOOK OF BIOCHEMISTRY,EIGHTH EDITION,PG.NO.,674.